Structures piercing clavipectoral fascia are all except:
1. Cephalic vein
2. Thoracoacromial artery
3. Lateral pectoral nerve
4. Basilic vein

Correct answer: 4. Basilic vein

Explanation: The clavipectoral fascia is a strong sheet of connective tissue that is attached above to the clavicle.Below, it splits to enclose the pectoralis minor muscle and then continues downward as the suspensory ligament of the axilla and joins the fascial floor of the armpit.The coracoclavicular fascia is pierced by the cephalic vein, thoracoacromial artery and vein, lymphatics pasing from the breast and pectoral region to the apical group of axillary lymph nodes and lateral pectoral nerve.